A patient presenting with jaundice the HIDA scan would be most useful for which of the following:-
1. Biliary atresia
2. Cholelithiasis
3. Bile duct carcinoma
4. Benign biliary disease

Correct answer: 1. Biliary atresia